Infrahyoid ribbon muscles are contained in -
1. Muscular triangle
2. Submental triangle
3. Anterior digastric triangle
4. Carotid triangle

Correct answer: 1. Muscular triangle

Explanation: Infrahyoid ribbon muscles are the chief contents of muscular triangle.